Delayed type of hypersensitivity is seen in following except -
1. Arthus phenomenon
2. Contact dermatitis
3. Tuberculin test
4. Graft vs host reaction

Correct answer: 1. Arthus phenomenon

Explanation: Ans. is 'a' i.e., Arthus Phenomenon